Which beta 2 agonist is not given for acute bronchial asthma
1. Salbutamol
2. Terbutaline
3. Salmeterol
4. Methyl xanthine

Correct answer: 3. Salmeterol

Explanation: Long acting beta 2 agonists (Formoterol, Salmeterol, Arformoterol, Carmoterol) should not be used in case of acute asthma as monotherapy (increased mortality).